Venous drainage from neurohypophysis is routed through all of the following EXCEPT?
1. Portal vessels to adenohypophysis
2. Superior hypophyseal veins to ventricular tanycytes
3. Inferior hypophyseal veins to dural venous sinuses
4. Capillaries to median eminence & hypothalamus

Correct answer: 2. Superior hypophyseal veins to ventricular tanycytes

Explanation: Superior hypophyseal veins to ventricular tanycytesThere are no vessels by the name superior hypophyseal veinsThere are 3 routes for venous drainage of neurohypophysis: To adenohypophysis long & short portal vessels; into dural venous sinuses inferior hypophyseal veins & to hypothalamus capillaries passing to median eminence.